All of the following cause sulfur granules except -
1. Chromoblastomycosis
2. Botryomycosis
3. Mycetoma
4. Actinomycosis

Correct answer: 1. Chromoblastomycosis